Most commonly injured muscle in Rotator cuff injury is
1. Infraspinatus
2. Subscapularis
3. Supraspinatus
4. Teres minor

Correct answer: 3. Supraspinatus